Hypogonadism, reduced immunity and alopecia may be a deficiency manifestation of:
1. Iron
2. Copper
3. Zinc
4. Magnesium

Correct answer: 3. Zinc

Explanation: Ans: C i.e. Zinc Manifestations of Zinc deficiency Primary T-cell lymphocyte immune system dysfunction (leading to failure to terminate incipient malignancies, viral and fungal infections); Frequent opportunistic infections (due to inability to protect cell membranes from viruses, toxins, complement, and venoms); Respiratory and skin allergies, Asthma; Chronic diarrhea; Abnormal neurosensory changes, Poor appetite (particularly in the young and aged); Mental lethargy, Fertility problems (including hypogonads, failure of sexual maturity, benign prostatitis in men, and menstrual cramping and bloating in women), Birth defects; Growth failure (dwarfism) and growth retardation; Premature aging; Vision problems; Loss of taste; Joint pain; Essential hypertension; Angina pectoris; Ischemia of effort; Delayed wound healing; Scleroderma; Systemic scleroderma (including lethal pulmonary hypertension); Loss of hair color; Anemia; Striae (stretch marks); Night blindness; Acne; and Defective connective tissue and macular degeneration; and Apathy and irritability.